In leprosy, the best bacteriocidal agent is?
1. Clofazimine
2. Dapsone
3. Rifampicin
4. Ethionamide

Correct answer: 3. Rifampicin

Explanation: Ans. is 'c' i.e., Rifampicin